Pseudocoma results from infarction or haemorrhage in-
1. Pons
2. Mid-brain
3. Medulla
4. Hypothalamus

Correct answer: 1. Pons